The most common cause of tricuspid regurgitation is secondary to
1. Rheumatoid heart disease
2. Dilation of right ventricle
3. Coronary artery disease
4. Endocarditis due to intravenous drug abuse

Correct answer: 2. Dilation of right ventricle

Explanation: Ref Harrison 19 th ed pg 1548 In at least 80% of cases, TR is secondary to marked dilation of the tricuspid annulus from RV enlargement due to PART hypertension .Functional TR may complicate RV enlargement of any cause, however, including an inferior myocardial infarction (MI) that involves the RV.